A neonate is born in very poor condition, with a severe, generalized encephalitis. Which of the following viruses is the most likely pathogen in this setting?
1. Eastern equine encephalitis virus
2. Herpes simplex type II
3. Herpes zoster-varicella virus
4. Poliomyelitis virus

Correct answer: 2. Herpes simplex type II

Explanation: Viral causes of neonatal encephalitis include three members of the herpes family of viruses: herpes simplex I, herpes simplex II, and cytomegalovirus. All three types can have devastating effects on the neonate, with extensive CNS damage leading to intellectual disability, seizures, and focal neurologic problems. Acyclovir may be of some help in modifying these infections, but both treatment and prognosis remain very problematic. Eastern equine encephalitis virus and St. Louis encephalitis virus are causes of epidemic encephalitis but are not the most likely cause of neonatal encephalitis. Herpes zoster-varicella virus, unlike herpes simplex, is not usually a cause of neonatal encephalitis. Poliomyelitis virus is a gastrointestinally transmitted virus that is not usually encountered in neonates. Ref: Levinson W. (2012). Part IX. Brief Summaries of Medically Important Organisms. In W. Levinson (Ed), Review of Medical Microbiology & Immunology, 12e.